Serratus arterior is supplied by -
1. Thoracodorsal nerve
2. Axillary nerve
3. Musculocutaneous nerve
4. Nerve of bell

Correct answer: 4. Nerve of bell

Explanation: Ans. is 'd' i.e., Nerve of bell o Serratus anterior causes protraction of scapula,o It is supplied by long thoracic nerve (Nerve of Bell),o It forms medial boundary of axilla.Serratus anterioro Origin : Outer surface of upper 8 ribs by 8 digitations (multipennate muscles),o Insertion : Medial border of scapula and inferior angle.o Nerve supply : Long thoracic nerve (nerve of bell),o Actions : Action of serratus anterior are -Rotates the scapula so that glenoid cavity is raised upward & forward - Helps in Vertical over head abductionQ (in this action assisted by trapezius).Draws the scapula forward around the throeic wall so paraiysis leads to winging of scapula.QAlso used when arm is pushed forward in horizontal position as in forward punchQ (helped by Pectoralis minor in this action)Q.Steadies the scapula during wreight carrying.Helps in forced inspiration^ (Accessory muscle of inspiration).Because of greater pull exerted on the inferior angle, inferior angle passes laterally and forward and the glenoid cavity is raised upward & forward; in this action the muscle is assisted by trapezius.